If a fibrinolytic drug is used for the treatment of acute myocardial infarction, the adverse effect most likely to occur is :
1. Acute renal failure
2. Development of antiplatelet antibodies
3. Encephalitis secondary to liver dysfunction
4. Hemorrhagic stroke

Correct answer: 4. Hemorrhagic stroke